Turcot’s syndrome is not associated with
1. polyps
2. CHRPE
3. Brain tumors
4. Odontome

Correct answer: 4. Odontome

Explanation: Odontone is associated with garderner syndrome.